Which of the following is the national level system that provides annual national as well as state level reliable estimation of fertility and mortality ?
1. Civil registration system
2. Census
3. Adhoc survey
4. Sample registration system

Correct answer: 4. Sample registration system

Explanation: Ans. is 'd' i.e., Sample registration system o Sample registration system, initiated in mid 1960s provides reliable estimates of birth and death rates at state and national levels. o It's a dual record system, consisting of continuous enumeration of birth and death by an enumerator and an indipendent survey every 6 months by an investigator - supervisor. o The Civil Registration System Provides for registration of births and deaths by the public. Earlier it was voluntary Now after Central Births and Deaths Registration Act in 1969, its made compulsory. The Act has also fixed the responsibility for reporting births and deaths. While the public (eg parents and relatives) are to report events occurring in their households, the heads of hospitals, nursing homes, hotels, jails or dharmshalas are to report events occurring in such institutions to the concerning registrar. The Time limit for registering the event of birth is 14 days* and that of death is 7 days*. Note : About the above given point about time limit for registration of birth or death, various internet sites of govt. give absolutely different values. They all unanimously say that the time limit for registering both birth & death are the same i.e. 21 day Census Is a very imp source of health information but its not annual. It is carried at regular intervals of 10 years.